Which part of the IgE antibody is responsible for binding to mast cells and basophils?
1. Light chain
2. Immunoglobulin fold
3. Fc region
4. Complement binding site

Correct answer: 3. Fc region

Explanation: Ans is 'c' i.e., Fc region * IgE primes the IgE-mediated allergic response by binding to Fc receptors found on the surface of mast cells and basophils. Fc receptors are also found on eosinophils, monocytes, macrophages and platelets in humans. There are two types of Fee receptors:A. FceRI (type I Fee receptor), the high-affinity IgE receptor.B. FceRII (type II Fee receptor), also known as CD23, the low-affinity IgE receptor.* IgE can upregulate the expression of both types of Fee receptors. FceRI is expressed on mast cells, basophils, and the antigen-presenting dendritic cells. Binding of antigens to IgE already bound by the FceRI on mast cells causes cross-linking of the bound IgE and the aggregation of the underlying FceRI, leading to the degranulation and the release of mediators from the cells.